One of the following is an example of painless midline swelling :
1. Branchial cyst
2. Thyroglossal cyst
3. Cystic hygroma
4. Carotid body tumour

Correct answer: 2. Thyroglossal cyst

Explanation: Ans is 'b' ie Thyroglossal cyst. Midline swelling of neck from above downwardsLudwig's anginaEnlarged submental lymph nodesSublingual dermoidLipoma in submental regionThyroglossal cyst Subhyoid bursitisGoitre Lipoma & enlarged lymph nodes in the suprasternal space of bumsRetrosternal goiterThymic swelling(A dermoid cyst may occur anywhere in the midline)